b - Lactam ring is present in
1. Erythromycin
2. Penicillin
3. Tetracyclins
4. Chloramphenicol

Correct answer: 2. Penicillin

Explanation: All penicillins have the basic structure. A thiazolidine ring (A) is attached to a b-lactam ring (B) that carries a secondary amino group (RNH-).Reference: Katzung's Pharmacology; 13th edition; Chapter 43; Beta-Lactam & Other Cell Wall- & Membrane-Active Antibiotics